Which is not a feature of classic distal A?
1. Hyperkalemia
2. Urine pH >5.5
3. Positive urine anion gap
4. Nephrocalcinosis

Correct answer: 1. Hyperkalemia

Explanation: Classic distal A/ Type 1 A- Hyperkalemia is not seen Hyperkalemia is seen in type IV A